Nerv e supply of opponens pollicis -
1. Superficial branch of ulnar nerve
2. Deep branch of ulnar nerve
3. Median nerve
4. Posterior interosseous nerve

Correct answer: 3. Median nerve

Explanation: Ans. is 'c' i.e., Median nerve o Hand muscles supplied by median nerve areThenar muscles (except adductor pollicis) Flexor poliicis brevis, opponens potlicis and abductor pollicis brevis. Adductor pollicis is supplied by ulnar nerve.First twolumbricals.o Hand muscles supplied by ulnar nerve are Superficial terminal branch : It supplies palmaris brevis and skin of palmar surface of medial VA fingers.Deep terminal branch : It supplies adductor pollicis, all interossei. medial two (3rd & 4,h) lumbricals and all hypothenar muscles except palmaris brevis (i.e. abductor digiti minimi, flexor digiti minimi, opponens digiti minimi).